Contents of midpalmar space are all except :
1. 2nd lumbrical
2. Flexor digitorum profundus of 3rd finger
3. 1st lumbrical
4. Flexor digitorum profundus of 4th finger

Correct answer: 3. 1st lumbrical

Explanation: First lumbrical is a content of thenar space, not midpalmar space.